A patient has carcinoma of right tongue on its lateral border of anterior two-third, with lymph node of size 4 cm in level 3 on left side of the neck, stage of disease is:
1. N0
2. N1
3. N2
4. N3

Correct answer: 3. N2

Explanation: Remember:(i) . Any node 3 cm or less is N1 (ii) . Any node(s) > 3 cm and < 6 cm is N2 whether it is ipsilateral, bilateral, contralateral, single or multiple.(iii). Any node > 6 cm is N3 .